Which of the following is inactive during normal respiration?
1. Pre-Botzinger complex
2. Dorsal motor neurons
3. Ventral VRG group of neurons
4. Pneumotaxic centre

Correct answer: 3. Ventral VRG group of neurons

Explanation: Ventral group of respiratory neurones are inactive during normal respiration Ref: guyton and hall textbook of medical physiology 12 edition page number: 370,371,372